Schaumann bodies are seen in -
1. Sarcoidosis
2. Chronic bronchitis
3. Asthma
4. Syphilis

Correct answer: 1. Sarcoidosis

Explanation: question repeated In pathology, Schaumann bodies are calcium and protein inclusions inside of Langhans giant cells as part of a granuloma. Many conditions can cause Schaumann bodies, including: Sarcoidosis, Hypersensitivity pneumonitis, and Berylliosis. uncommonly, Crohn's disease and tuberculosis.